Floculo nodular lobe of cerebellum is concerned with:
1. Equilibrium
2. Co ordination
3. Baroreception
4. Chemo reception

Correct answer: 1. Equilibrium